All of the following drugs are used in the management of Acute MI except -
1. Tissue plasminogen activator
2. Intravenous b-blockers
3. Acetylsalicylic acid
4. Calcium channel blocker

Correct answer: 4. Calcium channel blocker

Explanation: Ans. is 'd' i.e., Calcium channel blocker In general, Acute MI refers to STEMI. Unlike P-blockers, CCBs are of little value in the acute setting (acute STEM1). o Calcium channel blockers may be used in unstable angina / Non STEMI when b-blockers are contraindicated or are ineffective. o Fibrinolytic therapy (thrombolysis by streptokinase, alteplase) is used in STEMI, while it is contraindicated in unstable angina (Non STEMI). o Loop diuretics are used in pulmonary edema; cerebral edema and other edema (hepatic, renal or cardiac); hypertension; along with blood transfusion; and hypercalcemia and renal calcium stones.